Monoclonal Antibody used in Asthma is:
1. Omalizumab
2. Trastuzumab
3. Muromonab
4. Alemtuzumab

Correct answer: 1. Omalizumab

Explanation: Ans: A (Omalizumab) Ref: Harrison s Principles of Internal Medicine 18th editionExplanation:Omalizumab (Anti-IgE antibody)It is a blocking antibody that neutralizes circulating IgE without binding to cell-bound IgE and. thus, inhibits IgE-mediated reactions.This treatment has been shown to reduce the number of exacerbations in patients with severe asthma and may improve asthma control.However, the treatment is very expensive and is only suitable for highly selected patients who are not controlled on maximal doses of inhaler therapy and have a circulating IgE within a specified range.Omalizumab is usually given as a subcutaneous injection every 2-4 weeks and appears not to have significant side effects, although anaphylaxis is very occasionally seen.